A large baby is born with which complication in pregnancy:
1. Gestational diabetes
2. Gestational hypertension
3. Cardiac disease
4. Anaemia

Correct answer: 1. Gestational diabetes

Explanation: Ans. is a, i.e. Gestational diabetesRef. Dutta Obs. 7/e, p 284: Williams Obs. 23/e, p 854Large baby is called as macrosomia which is defined as fetal (neonatal) weight exceeding two standard deviations or above 90th centile for the appropriate normal population.According to ACOG: birth weight of >= 4500 gm is called as macrosomia.In Indian context birth weight of >= 4000 gm is called as macrosomia.Macrosomia is seen in:Maternal diabetesMaternal obesityMultiparityProlonged gestationIncreased maternal age